Aphasia is most likely associated with a lesion in
1. Broca's area
2. Sensory area
3. Primary motor area
4. Visual area

Correct answer: 1. Broca's area

Explanation: Broca's area is a region in the frontal lobe of the dominant hemisphere (usually the left) of the hominid brain with functions linked to speech production.